Maximum Infant Mortality Rate is seen in
1. Tamilnadu
2. Orissa
3. Maharashtra
4. Kerala

Correct answer: 2. Orissa

Explanation: State (2014)IMR / 1000Tamil Nadu20Orissa/Odisha49Maharashtra22Kerala12Madhya Pradesh52(Refer: K. Park's Textbook of Preventive and Social medicine, 24thedition, pg no:604)